The intrinsic potency as local anesthetic is the lowest in
1. Lidocaine
2. Procaine
3. Prilocaine
4. Tetracaine

Correct answer: 2. Procaine